A 3 year old boy with normal developmental milestones with delayed speech and difficulty in communication and concentration. He is not making friends. Most probable diagnosis is
1. Autism
2. ADHD
3. Mental retardation
4. Specific learning disability

Correct answer: 1. Autism

Explanation: Ans. is 'a' Autism "Difficulty in concentration and communication, delayed speech and problems in forming social relationship in early childhood suggests the diagnosis of Autism"Essentials of Diagnosis and Typical Features of AutismOnset in infancy or early childhood (before age of 3 years)Abnormal language and speech development (Abnormal communication)Inability to develop normal social skill (lack of eye contact gestures and facial expression)Understand little or no language (therefore fail to acquire speech)Deficient comprehension and communicative use of speech and gesture.Behavioural peculiarities such as ritualized repetitive or stereotyped behaviour and rigidity.Difficulty in concentrationSevere deficit in social responsiveness and interpersonal skillsIntrusive stereotypes (Repetitive behaviour) together with inability to concentrate may prevent children from engaging in meaningful activity or social interaction (difficulty in making friends)Do not engage in pretended play (which starts before age of 2 in normal children)Also knowAbout 75% of children with autism are mentally retardedEpilepsy develops in one fifth to one third of autistic individuals.EEG abnormalities are noted in half of the patients.